nosocamial infection after how many hours ?
1. 48hrs
2. 72hrs
3. 7 days
4. 1 day

Correct answer: 1. 48hrs

Explanation: *Any infection causing illness that was not present or in its incubation period when the subject entered hospital or received treatment in outpatient clinic. *Infections are considered Nosocomial if they first appear 48 hours or more after hospital admission or within 30 days after discharge. *"Nosocomial" comes from two Greek words- "nosus" meaning "disease"+"komeion" meaning "to take care of"----disease contracted by a patient while under medical care. ref : harrisons 21st ed